When an outcome is compared with intended objectives ,it is called as
1. Monitoring
2. Evaluation
3. Input output analysis
4. Network analysis

Correct answer: 2. Evaluation

Explanation: Ref: p.933 25th edition Park's Textbook of Preventive and Social Medicine